Most common complication of ECCE ?
1. Retinal detachment
2. Opacification of posterior capsule
3. Vitreous haemorrhage
4. None

Correct answer: 2. Opacification of posterior capsule

Explanation: Ans. is 'b' i.e., Opacification of posterior capsule "Opacification of the posterior capsule caused by proliferation of cells in capsular bag remains the most frequent complication of ECCE and IOL surgery". Vajpayee